Edrophonium binds to which site of Acetylcholinesterase
1. Anionic site
2. Esteric site
3. Both the sites
4. Doesn't bind to any site

Correct answer: 1. Anionic site

Explanation: Edrophonium is ultra short-acting acetylcholinesterase drug which binds only to anionic site Ref: KDT 6th ed pg 104